Most common presenting feature of Asherman's syndrome is?
1. Oligomenorrhea
2. Hypomenorrhea
3. Menometrorrhagia
4. Dysmenorrhea

Correct answer: 2. Hypomenorrhea

Explanation: Ans. B. Hypomenorrheaa. Asherman's Syndrome, or intrauterine adhesions/scarring or synechiae, is an acquired uterine condition, characterized by the formation of adhesions (scar tissue) inside the uterus and/or the cervix. In many cases the front and back walls of the uterus stick to one another.b. In other cases, adhesions only occur in a small portion of the uterus.c. The extent of the adhesions defines whether the case is mild, moderate, or severe.d. The adhesions can be thin or thick, spotty in location, or confluent.e. They are usually not vascular, which is an important attribute that helps in treatment.Symptomsa. Most patients with Asherman's Syndrome have scanty (Hypomenorrhea) or absent periods (amenorrhea) but some have normal periods.b. Some patients have no periods but feel pain at the time that their period would normally arrive each month.c. This pain may indicate that menstruation is occurring, but the blood cannot exit the uterus because the cervix is blocked by adhesions.d. Recurrent miscarriage and infertility could also be symptoms.Note: - Hypo- less/scant. In Asherman's as the outflow is blocked, blood is contained inside. Thus, making hypomenorrhea the most common presentation